All the following are the features of the Kuntscher (K) nail for internal fixation of femoral fractures except
1. It is clover leaf in cross section
2. The nail has eye at one end
3. The nail is a hollow with a slot on one side
4. The fixation by k nailing is based on the three point fixation

Correct answer: 2. The nail has eye at one end

Explanation: The K nail is a hollow tube with a slot on one side. It is clover shaped cross-section. The fixation by K nailing based on the three-point fixation i.e when a straight rod passes through a curved medullary cavity It fixes the bones at three points at either ends and at the isthmus. The cloverleaf shape is designed to give rotational stability. The nail is provided with an eye at both ends that facilitates removal.